Which of the following drugs inhibits post translational modification of viral proteins?
1. Indinavir
2. Enfuvirtide
3. Lamivudine
4. Zalcitabine

Correct answer: 1. Indinavir

Explanation: (Ref: KDT 6/e p774) Protease results in the formation of final structural and functional proteins by post translational modification of HIV viral proteins. Drugs in this group are indinavir, saquinavir, lopinavir, ritonavir, amprenavir etc.